Z score measures the bone mineral density compred to -
1. Age, Race and sex matched individuals
2. Race and sex matched individuals
3. Sex matched individuals
4. None of the above

Correct answer: 1. Age, Race and sex matched individuals

Explanation: A Z-score compares your bone density to the average values for a person of your same age and gender. A low Z-score (below -2.0) is a warning sign that you have lessbone mass (and/or may be losingbone more rapidly) than expected for someone your age. Ref essential orthopaedic maheshwari and mhaskar 9TH ED